Best-known large sample study programme for coronary heart disease is:
1. Framingham study
2. North kerolia study
3. Standford study
4. Oxford study

Correct answer: 1. Framingham study

Explanation: Ans. a (Framingham study). (Ref. Park, Textbook of PSM 17th ed., 277)FRAMINGHAM STUDYone of the best known large prospective studies seen (1951) & has played a major role in establishing nature of cardiovascular heart disease risk factors & their related importance.STANFORD-3- COMMUNITY STUDYto determine whether community health education can reduce risk of CVS disease.NORTH KORELIA PROJECTThis is a multiple risk factor intervention trial started in 1972.MRFITMultiple risk factor intervention trial carried out in USA was aimed at high risk adult males between 35- 57 yrs. It produces no significant changes in mortality/ risk factors.OSLO diet/smoking intervention studyWith this study primary prevention of cardiac heart disease entered practical field of preventive medicine in impressive manner.LIPID RESEARCH CLINICS STUDYA double blind randomized clinical trial involved 3806 asymptomatic high risk American patients with Type II hyperlipoproteinemia .